Bart hemoglobin consist of
1. Four γ chains
2. Four β chains
3. Two γ chains + Two β chains
4. Two α chains + Two γ chains

Correct answer: 1. Four γ chains

Explanation: Bart hemoglobin is tetramer of four γ chains.